Antigen combining site of the antibody -
1. Idiotype
2. Paratope
3. Epitope
4. Hapten

Correct answer: 2. Paratope

Explanation: A paratope, also called an antigen-binding site, is a part of an antibody which recognizes and binds to an antigen. Ref: Ananthanarayan & Panikers textbook of microbiology 9th edition pg:88